Which of the following disorder of mother leads to microcephaly in baby -
1. SLE
2. Hepatitis A
3. Phenylketonuria
4. All

Correct answer: 3. Phenylketonuria

Explanation: Ans. is 'c' i.e., Phenylketonuria Microcephaly o Microcephaly is defined as a head circumference that measures more than three standard deviation below the mean for age. Causes of microcephaly Primary (genetic) Secondry (Nongenetic) o Familial (autosomal recessive) o Radiation o Autosomal dominant o Alcohol o Down syndrome o Phenytoin o Edward syndrome o Infection ---> Rubella, CMV, Toxoplasma